In urban which Anopheles species is seen-
1. Stephnsi
2. Culicifacies
3. Fluvitalis
4. None

Correct answer: 1. Stephnsi

Explanation: Ans. is 'a' i.e., Stephensi Vector of malariao Vector for malaria is female anapheline mosquito.o There are six primary vectors of malaria in India : -An. culicifacies : - It is the main vector in rural and periurban areas. It is highly zoophilic. Species 4 A' is a vector for P. vivax and P.falciparum, whereas species 'B' is completely refractory to P.vivax and partially refractory to P. falciparium. However, species lB' may play a role as vector of P.falciparum in areas where the cattle population is very low or absent.An. Stephensi: - Responsible for malaria in urban and industrial areas. An. Stephensi has three forms : -Type form : - In urban areasIntermediate form : - In urban & semi-urban areas.Mysorensis form : - In rural areas (it is not a vector )An fluvitalis : - Main vector in hilly areas, forests and forests fringes, especially in the east.An. minimum : - Vector in the the foot hills of North-Eastern states.An. dirus : - Vector in the forest of North-EastAn. epiroticus : - Restricted to Andaman and Nicobar Islands.